Immediate treatment of hypercalcemia of malignancy is
1. IV Fluids
2. Bisphosphonates
3. Calcitonin
4. Glucocorticoids

Correct answer: 1. IV Fluids

Explanation: Drug of choice for hypercalcemia of malignancy is Bisphosphanates but immediate treatment involves administration of IV fluids.